Which of the following is associated with reaction resulting in skin change resembling a patch of scleroderma?
1. Intramuscular injection of vitamin K preparations
2. Intramuscular injection of thiamine preparations
3. Intramuscular injection of cyanocobalamine preparations
4. Intramuscular injection of calcium preparations

Correct answer: 1. Intramuscular injection of vitamin K preparations

Explanation: Sclerodermiform reaction to vitamin K Intramuscular injection Vit. K is followed by an erythematous plaque in the lumbosacral area, which takes on a dusky colour and becomes infiltrated and itchy after 10-15 days. After some months, it resembles a patch of scleroderma, ivory-white in colour with a surrounding lilac ring. Confluence of plaques in the trochanteric and lumbosacral area produces the so- called 'cowboy's belt' appearance, complete with holsters.